Tumour lysis syndrome is associated with treatment of:
1. Hairy cell leukemia
2. Burkitts lymphoma
3. Plasmacytoma
4. All of the above

Correct answer: 2. Burkitts lymphoma

Explanation: Ans. B: Burkitts lymphoma Tumor lysis syndrome is most frequently associated with the treatment of Burkitt's lymphoma, acute lymphoblastic leukemia and other high grade lymphomas Tumour lysis syndrome is characterized by: Hyperuricemia Hyperkalemia Hyperphosphatemia Lactic acidosis Hypocalcemia Acute renal failure